Infant mortality rate is -
1. Death of infants per 1000 pregnent women
2. Death of infants per 1000 births
3. Death of infants per 1000 live births
4. Death of infants per 1000 population

Correct answer: 3. Death of infants per 1000 live births

Explanation: Ans. is 'c' i.e., Death of infants per 1000 live births o IMR is defined as the number of death of child of less than 1 years of age per 1000 live births. It is a rate.IMR =No. of death of less than 1 year age------------------------------No of live birthx 1000o The most common cause of infant mortality is prematurity and low birth weight (51 %) followed by (in decreasing order) acute respiratory infection (17%), congenital malformations (5%), diarrheal diseases (4%), birth injuries (3%), and cord infection(2%).